Which of the following is not a sign of severe dehydration?
1. Tachycardia
2. Anuria
3. Increased thirst
4. Delayed capillary refill

Correct answer: 3. Increased thirst

Explanation: Ans. is 'c' i.e., Increased thirst * Increased thirst is a feature of mild dehydration.Clinical evaluation of DehydrationA) Mild dehydration# Normal or increased pulse# Decreased urine output# Thirsty# Normal physical findingsB) Moderate dehydration :-# Tachycardia# Little or no urine output# Irritable/lethargic# Sunken eyes and fontanel# Decreased tears# Dry mucous membranes# Mild delay in elasticity (skin turgor)# Delayed capillary refill (1.5 sec)# Cool and paleC) Severe dehydration# Peripheral pulses either rapid and weak or absent# Decreased blood pressure# No urine output# Very sunken eyes and fontanel# No tears# Parched mucous membrane# Delayed elasticity (poor skin turgor)# Very delayed capillary refill (> 3 sec)# Cold and mottled# Limp# Depressed consciousness